Acute diffuse proliferative glomerulonephritis will have all of the following features, except ?
1. Microscopic haematuria
2. Raised blood urea level
3. Raised serum creatinine level
4. Hypoalbuminaemia

Correct answer: 4. Hypoalbuminaemia

Explanation: Ans. is 'd' i.e., Hypo albuminaemiao Diffuse proliferative glomerulonephritis is characterized by nephritic syndrome whereas hypoalbuminemia is a feature of Nephrotic syndrome.o Clinical features of Diffuse proliferative glomerulonephritis